Bilirubin is synthesized from
1. Amino acid
2. Hemoglobin
3. Myoglobin
4. WBCs

Correct answer: 2. Hemoglobin

Explanation: Ans. B HemoglobinRef: Quantitative Human Physiology; An Introduction.pg. 432-33* An average weighing adult turns over approx 6 gm of Hb daily* 1 g of Hb yield - 35 mg of Bilirubin* Therefore daily bilirubin formation in an adult is approx 250-350 mg